Following are features of ischaemic colitis except –
1. Thumb printing
2. Serrated mucosa
3. Increased mucosal fold thickness
4. Dilution of barium

Correct answer: 4. Dilution of barium

Explanation: Signs of ischemic colitis :- Thumb printing, shallow ulcers (serrated mucosa), Bowel wall thickening of affected segment.